Corpus cancer syndrome is characterized by following except
1. Diabetes
2. Obesity
3. Multiparity
4. Hypertension

Correct answer: 3. Multiparity

Explanation: Is triad of obesity, HTN and DM - a predisposing factor for Endometrial Ca